Drug of choice of trachoma is -
1. Penicillin
2. Sulfonamide
3. Tetracycline
4. Chloramphenicol

Correct answer: 3. Tetracycline

Explanation: Tetracycline or azithromycin are the drugs of choice for trachoma. Other drugs used are erythromycin, clarithromycin, rifamipicin and sulfonamide. Ref: Parson's 22nd/e p.175 & 21st/e p. 174